During esophagoscopy, the area in the esophagus mostly perforated is-
1. At aortic arch
2. Mid esophagus
3. At cricopharyngeus muscle
4. At esophagogastric junction

Correct answer: 3. At cricopharyngeus muscle

Explanation: • Esophageal instrumentation accounts for the large majority of iatrogenic perforations, with the cricopharyngeal area most commonly injured